Gram-stained periorbital exudates in severe panophthalmitis with cellulitis in an elderly diabetic shows irregular branching aseptate and broad hyphae. Which of the following is the most likely diagnosis-
1. Candida
2. Aspergillus
3. Pencillium
4. Apophysomyces species

Correct answer: 4. Apophysomyces species

Explanation: Here, the organism is having aseptate hyphae (not septate).
Branching aseptate hyphae suggests the diagnosis of mucormycosis (mucor infection).
Apophysomyces is a novel pathogen belonging to the family Mucoraceae.